Which is antigen presenting cell in the epidermis that is required for the induction of allergic contact dermatitis is:
1. Fibroblasts
2. Keratinocytes
3. Langerhans cells
4. Melanocytes

Correct answer: 3. Langerhans cells

Explanation: Langerhans' cell is a specialized antigen-presenting cell that help in antigen recognition and activation T cell mediated immune response. Functions - phagocytosis, antigen processing, antigen presentation, interaction with lymphocytes. Release IL-1 Langerhans cells are derived from mesoderm Langerhans cells are present in stratum spinosum Birbeck granules - rod or racquet shaped - contain Langerin Langerhans' cell decrease in (PSC) Psoriasis Sarcoidosis Contact dermatitis Langerhans' cell increase in - Langerhans Cell Histiocytosis